A 4 year old child with high fever developed toxic look, eruptions on trunk & proximal extremities, bilateral bulbar conjunctivitis without discharge and fissuring -crusting- red lips. Due to limb edema walking became difficult. She also had desquamation in perineum & finger tips with cervical adenopathy. Diagnosis is
1. PAN
2. HSP
3. Kawasaki syndrome
4. Erythema infectosum

Correct answer: 3. Kawasaki syndrome

Explanation: C. i.e. Kawasaki syndrome Kawasaki mucocutaneous syndrome presents with fever (with spikes) for > 5 days, bilateral painless bulbar non discharging conjunctivitis, fissuring-crusting red lips, strawberry tongue, polymorphous erythematous eruption, desquamation-erythema & edema of extremity and acute non suppurative cervical lymphadenopathyQ. Treatment of choice is intravenous gammaglobulinQ.